Amplifier for Japanese encephalitis ?
1. Horse
2. Pigs
3. Dogs
4. Monkey

Correct answer: 2. Pigs

Explanation: Ans. is 'b' i.e., Pigs